The most common malignant orbital tumor in children is –
1. Rhabdomyosarcoma
2. Cavernous Hemangioma
3. ALL
4. AML

Correct answer: 1. Rhabdomyosarcoma

Explanation: Most common malignant orbital tumor in children is rhabdomyosarcoma. It is seen in first decade of life.